Immediately after eating, a man develops swelling of face and lips, respiratory distress, intense pruiritis, hypotension and feeling of impending doom. The most likely diagnosis is
1. Angioneurotic Edema
2. Anaphylaxis
3. Myocardial Infarction
4. Food stuck in throat

Correct answer: 2. Anaphylaxis

Explanation: B. i.e. Anaphylaxis